True about diabetic mother is :
1. Hyperglycemia occurs in all infants of diabetic mothers
2. High incidence of congenital heart anomalies is common
3. Small baby
4. All

Correct answer: 2. High incidence of congenital heart anomalies is common

Explanation: Ans. is b i.e. High incidence of congenital heart anomalies is common